Inotropic drugs acts on which receptors:
1. Alpha1
2. Alpha2
3. Beta1
4. Beta2

Correct answer: 3. Beta1

Explanation: Ans. C i.e. Beta1 Beta adrenergic receptors Activation of beta-1 receptors induces positive inotropic, chronotropic output of the cardiac muscle, leading to increased heart rate and blood pressure, secretion of ghrelin from the stomach, and renin release from the kidneys. Activation of beta-2 receptors induces smooth muscle relaxation in the lungs, gastrointestinal tract, uterus, and various blood vessels. Increased heart rate and heart muscle contraction is also associated with the beta-2 receptors. Beta-3 receptors are mainly located in adipose tissue. Activation of the beta-3 receptors induces the metabolism of lipids.